NAGLERS REACTION detects
1. coagulase
2. hyaluronidase
3. lecithinase
4. all the above

Correct answer: 3. lecithinase